All of the following statement about Renal Calculi are true, Except:
1. Cystine stones form in acidic urine
2. Struvite stones form in alkaline urine
3. Oxalate stones are radiopaque
4. Uric acid stones are resistant to ESWL

Correct answer: 4. Uric acid stones are resistant to ESWL

Explanation: Answer is D (Uric acid stones are resistant to ESWL): Uric acid stones are not resistant to ESWL. Uric acid stones are infact most responsive to Lithotripsy along with calcium oxalate dehydrate stones.